A/E seen in spring catarrh-
1. Follicles
2. Pseudogerontoxon
3. Shild's ulcer
4. Tranta's spot

Correct answer: 1. Follicles

Explanation: Symptoms. Spring catarrh is characterised by marked burning and itching sensation which is usually intolerable and accentuated when patient comes in a warm humid atmosphere. Itching is more marked with palpebral form of disease.Other associated symptoms include: mild photophobia, lacrimation, stringy (ropy) discharge and heaviness of lids. ref: A K KHURANA OPHTALMOLOGY,E4, Page-74 ref img